In which of the following conditions parakeratosis most frequently occur?
1. Actinic keratoses
2. Basal cell carcinoma
3. Seborrheic keratoses
4. Molluscum contagiosum

Correct answer: 1. Actinic keratoses

Explanation: Parakeratosis is defined as retention of keratinocyte nuclei within the horny layer cell layer. It can occur in condition with increased epidermal cell turnover or with inflammatory changes in epidermis. Dysplastic epithelial changes such as those occurring in actinic keratoses and Bowens disease are normally accompanied by parakeratosis. Ref: Current Medical Diagnosis and Treatment, 2012, Chapter 6; Rook's Textbook of Dermatology, Volume 1 By Tony Burns, Page 31; Eyelid Tumors: Clinical Diagnosis and Surgical Treatment By Jay Justin Older, 2nd Edition Page 58.